C-MYC translocation is seen in which of the following tumors?
1. Burkitt lymphoma
2. Neuroblastoma
3. Malignant melanoma
4. Breast cancer

Correct answer: 1. Burkitt lymphoma

Explanation: All forms of Burkitt lymphoma are highly associated with translocation of the MYC gene on chromosome 8 that lead to increased MYC protein levels.The translocation partner for MYC is usually the IgH locus but may also be the Ig . Ref :Robbins pathologic basis of disease ; south east asia edition ;pg:597